Indications of ahoplasty :
1. Osteoarthritis
2. Rheumatoid arthritis
3. Ankylosing spondylosis
4. All

Correct answer: 4. All

Explanation: A i.e. Osteoarthritis; B i.e. Rheumatoid arthritis; C i.e. Ankylosing spondylosis